Maximum reabsorption of HCO3 - occurs in
1. PCT
2. DCT
3. CD
4. Loop of henle

Correct answer: 1. PCT

Explanation: The process of bicarbonate reabsorption occurs predominantly in the proximal tubule (about 90%). The rest occur in the thick ascending limb and in the collecting tubule. All involve hydrogen ion secretionRef: Ganong's Review of Medical Physiology, 23rd edition, page no: 680